Salt loosing nephritis is due to
1. Lupus nephritis
2. Streptococcal infection
3. Interstitial nephritis
4. Goodpasteures syndrome

Correct answer: 3. Interstitial nephritis

Explanation: Salt-losing nephritis is one of many clinical situations involving electrolyte disturbance in renal disease. This type of nephropathy is characterized by hyponatremia and hypochloremia, lassitude, thirst, polyuria, azotemia, and circulatory collapse. Interstitial nephritis is a kidney disorder in which the spaces between the kidney tubules become swollen (inflamed). This can cause problems with the way your kidneys work. Refer robbins 9/e p930